Hemodialysis associated with amyloid pattern -
1. AA
2. AL
3. Beta-2-microglobulin
4. ATTR

Correct answer: 3. Beta-2-microglobulin

Explanation: b2-Microglobulin, a component of MHC class I molecules and a normal serum protein, has been identified as the amyloid fibril subunit (Ab2m) in amyloidosis that complicates the course of patients on long-term hemodialysis. Ab2m fibers are structurally similar to normal b2m protein. This protein is present in high concentrations in the serum of patients with renal disease and is retained in the circulation because it is not efficiently filtered through dialysis membranes. In some series, as many as 60% to 80% of patients on long-term dialysis developed amyloid deposits in the synovium, joints, and tendon sheaths. Robbins 9 th edition page no. 154